True about type 2 muscle fibre
1. White, glycolytic, fast contracting
2. White, glycolytic, slow contracting
3. Red, oxidative, fast contracting
4. Red, glycolytic, slow contractin

Correct answer: 1. White, glycolytic, fast contracting

Explanation: Type 2 muscle fibres are present in fast muscles. They are also called white muscles. The glycogen content is high. (REF: TEXTBOOK OF MEDICAL PHYSIOLOGY GEETHA N 2 EDITION, PAGE NO - 44)